What are the EEG waves recorded for parieto-occipital region with subject awake and eye closed
1. Alpha waves
2. Beta waves
3. Delta waves
4. Theta waves

Correct answer: 1. Alpha waves

Explanation: Ans. (a) Alpha waves(Ref: Ganong, 25th ed/p.273)Alpha wave#Frequency is 8-13Hz#Are most prominent over parieto-occipital areas#Seen when the patient is resting with the eyes closed